Old male with H/O long intake of antibiotics. Diagnosis?
1. Pseudomembranous Colitis
2. Chrons
3. Ulcerative colitis
4. Amoebic colitis

Correct answer: 1. Pseudomembranous Colitis

Explanation: Ans. (a) Pseudomembranous enterocolitisThe mucosal surface of the colon seen here is hyperemic and is partially covered by a yellow-green exudate.